Most common cause of chronic granulomatous disease in children is -
1. Myeloperoxidase deficiency
2. Defective phagocytosis
3. Defective H2 O2 production
4. Job's disease

Correct answer: 3. Defective H2 O2 production

Explanation: Chronic granulomatous disease starts in early life. Chronic suppurative lesions develop in skin and lymph nodes with hepatoslpenomegaly, progressive infiltration of lungs and granulomatous septic ostemyelitis. Diminished H2 02 production affect is the main reason for the bactericidal defect in this disease. Thus leukocyte do not undergo degranulation following phagocytosis. Reference : Anathanarayan & paniker's 9th edition, pg no:175